The following rodent is the natural reservoir of plague
1. Mus musculus
2. Tatera indica
3. Rattus Rattus
4. Rattus norvegicus

Correct answer: 2. Tatera indica